Femoral artery begins at -
1. Mid-inguinal point
2. Femoral ring
3. Midpoint of inguinal ligament
4. Any of the above

Correct answer: 1. Mid-inguinal point

Explanation: External iliac artery continues as femoral artery at mid-inguinal point.